All of the following are immunosuppressive drugs EXCEPT :
1. Cyclosporine
2. Cefaclor
3. Azathioprine
4. Steroids

Correct answer: 2. Cefaclor

Explanation: Cefaclor is a cephalosporin